Dr. Neelam decides to give estrogen therapy in a postmenopausal woman. The risk of which of the following will not be increased?
1. Gall stones
2. Osteoporosis
3. Endometrial carcinoma
4. Breast cancer

Correct answer: 2. Osteoporosis

Explanation: (Ref: KDT 6/e p301) Estrogen is used for the treatment of osteoporosis in post-menopausal female.